Defect in collagen formation is seen in:
1. Scurvy
2. Hunter's syndrome
3. Marfan's syndrome
4. All

Correct answer: 1. Scurvy

Explanation: A i.e. Scurvy Collagen show triple helixQ and is never present free inside the cytoplasmQ. Scurvy, osteogenesis imperfectaQ, Ehler - Danlos syndrome & Alport syndrome occurs d/t its deficient synthesis.